Common bile duct stones will manifest all except ?
1. Distended gall bladder
2. Jaundice
3. Itching
4. Clay coloured stools

Correct answer: 1. Distended gall bladder

Explanation: Ans. is 'a' i.e. Distended gall bladder